Average gain of Height in the first year is?
1. 25 cm
2. 50 cm
3. 75 cm
4. 100 cm

Correct answer: 1. 25 cm

Explanation: Square root of the month of the baby. Till he reaches 7 months Ref- OP. Ghai ,9th edition, Page 14